Contents of midpalmar space are all except
1. 2nd lumbrical
2. Flexor digitorum profundus of 3rd finger
3. 1st lumbrical
4. Flexor digitorum profundus of 4th finger

Correct answer: 3. 1st lumbrical

Explanation: FASCIAL SPACES OF PALM:- Formed by fascia and fascial septum of palm.'Normally they are potential spaces filled with loose connective tissue. They become obvious only when fluid or pus collects in them.These soaces are if surgical importance because they may get infected and distended with pus. Various spaces of palm:-1. Midpalmar 2. Thenar3. Pulp spaces of digits. MIDPALMAR SPACE:-Location- under the medial half of hallow of the palm.Boundaries:- Anteriorly:-1. Palmar aponeurosis 2. Superficial palmar arch3. Digital nerve and vessels supplying medial 3 and half fingers.4. Ulnar bursa 5. Medial three lumbricals. Posteriorly:-1. Palmar and dorsal interossei 2. Medial three metacarpals. Laterally:-1. Intermediate palmar septum.Medially:1. Medial palmar septum.Proximally:-1. Forearm space of parona.Distally 1. Medial three web spaces through medial three lumbrical canals.{Reference:vishram singh ,page no.164}